All of the following are the components of the white pulp of spleen EXCEPT:
1. Periarteriolar lymphoid sheath
2. Vascular sinus
3. B cells
4. Antigen presenting cells

Correct answer: 2. Vascular sinus

Explanation: - Spleen is composed of red pulp (~ 90%) having venous sinusoids and splenic cords (of Billroth). - White pulp (~ 10%) of spleen has lymphoid follicles with B lymphocytes at the germinal centers, whereas T cell lie in the periphery. - Antigen presenting cells (APCs) are present in the marginal zone of lymphoid follicles.